ABG analysis of a patient on ventilator,shows decreased pCO2, normal pO2, pH 7.5; diagnosis is:
1. Respiratory acidosis
2. Metabolic alkalosis
3. Resp alkalosis
4. Metabolic acidosis

Correct answer: 3. Resp alkalosis

Explanation: Answer is C (Respiratory akalosis) : There is alkalosis (pH = 7.5) and CO2 is low (alkalosis). Change in CO2 is inkeeping with change in pH and thus the primary cause is respiratory. The acid base disturbance is thus primary respiratory alkalosis.